Reverse transcriptase is a RNA dependent DNA polymerase. Which of the following uses reverse transcriptase?
1. Hepatitis A virus
2. Hepatitis B virus
3. Hepatitis C virus
4. Hepatitis E virus

Correct answer: 2. Hepatitis B virus

Explanation: Ans. b. Hepatitis B virus (Ref: Ananthanarayan 9/e p544, 8/e p540; Harrison 19/e p2005; Robbins 9/e p831-832)Hepatitis B virus uses reverse transcriptase.Hepatitis B virus: A polymerase (Pol) that exhibits both DNA polymerase activity and reverse transcriptase activity. Genomic replication occurs via an intermediate RNA template, through a unique replication cycle: DNA - RNA - DNA. "--Robbins 9/e p832"The third of the HBV genes is the largest, the Pgene, which codes for the DMA polymerase: as noted above, this enzyme has both DMA-dependent DMA polymerase and RMA-dependent reverse transcriptase activities. "--Harrison 19/e p2005Hepatitis B virus Genes & AntigensGeneAntigen ProducedC geneHBcAg (Hepatitis B core antigen)QC & Pre C genesHBeAg (Hepatitis B e antigen) QS geneHBsAg (Hepatitis B surface antigen): large, middle & small HBsAg QP geneDNA polymerase (pol) & reverse transcriptase QX geneHBxAg: virus replication & transcriptional transactivator Q